Which of the following is true about Turner syndrome:
1. 45 X Chromosome
2. Primary Amenorrhea
3. Coarctation of acrta
4. All of the above

Correct answer: 4. All of the above

Explanation: Ans. (d) All of the aboveRef : Shaws 15th ed. /110-111, Harrison 19/e 635; D.C Dutta 6th Ed. 1422-423In turner syndrome* Deletion of genetic material from an X chromosome accounts for about two thirds of gonadal dysgenesis which leads to a condition called turner syndrome (XO).* A 45, X karyotype is found in about half of these patients, most of whom have associated somatic defects including short stature, webbed neck, low hairline, shield-shaped chest, widening of long bones, STREAK GONADS, renal anomalies (Horse-shoe kidney) and cardiovascular defects (COA).* Other features of turners syndrome is summarized in the image given.